Lignocaine is useful for the treatment of :
1. Atrial fibrillation
2. Paroxysmal supraventricular tachycardia
3. Digitalis induced ventricular extrasystoles
4. All of the above

Correct answer: 3. Digitalis induced ventricular extrasystoles

Explanation: (Ref: KDT 6/e p502) Lignocaine is used only for the treatment of ventricular arrhythmias, it has no role in atrial arrhythmia.